Biological fixation of nitrogen most commonly occurs in which of the following of the following crops?
1. Pulses
2. Cereals
3. All tuber crops
4. Sugarcane and beetroot

Correct answer: 1. Pulses

Explanation: Pulses (legumes) Pulses comprise a variety of grams, also known as dhals. Most commonly eaten pulses are bengal gram (chana), red gram (tuvar or arhar), green gram (mung) and black gram (urd). Others include lentils (masur), peas and beans Including soyabean. Khesari dhal (lathyrus sativus), is consumed in parts of Madhya Pradesh, Uttar Pradesh and Bihar, excessive consumption of which is associated with lathyrism. Pulses contain 20 to 25 per cent of proteins, which is double that found in wheat and three times that found in rice. II') fact, pulses contain more protein than eggs, fish or flesh foods. Biological fixation of nitrogen occurs. But in regard to quality, pulse proteins are inferior to animal proteins. Pulse proteins are poor in methionine and to a lesser extent in cysteine. On the other hand they are rich in lysine. Soyabean is exceptionally rich in protein, containing up to 40 per cent. In addition, pulses are rich in minerals and B-group vitamins such as riboflavin and thiamine. In the dry state, pulses do not contain vitamin C. Germinating pulses, however, contain higher concentration of vitamins, especially vitamin C and B vitamins. Fermentation also modifies the nutritive value of pulses .in that the vitamin content particularly that of riboflavin, thiamine and niacin is enhanced. Although pulses are called "poor man's meat", they are eaten by the rich and poor alike in India. They give variety to the diet and make the food more palatable. Ref : Park 23rd edition Pgno : 628